Deficiency of this haemophilic factor during early pregnancy will result in neural tube defect :
1. Folic acid
2. Iron
3. Cyanocobalamine
4. Antioxidants

Correct answer: 1. Folic acid